Mallory-Weiss tear occurs at
1. Gastro-oesophageal junction
2. Duodeno-jejunal flexure
3. Ileo-caecal junction
4. Colo-rectal junction

Correct answer: 1. Gastro-oesophageal junction

Explanation: MALLORY WEISS syndrome is seen in adults with severe prolonged vomiting, causing a longitudinal tear in the mucosa of the stomach at and just below the cardia leading to severe hematemesis.Violent vomiting may be due to a migraine or vertigo or following a bout of alcohol.Common in 1 o' clock position.Investigations include Hb%, PCV.Treatment includes blood transfusion, IV fluids, sedation and hemostatic agents such as vasopressin. Ref: SRB's manual of surgery,5th ed, pg no 803